Most common location of accessory spleen?
1. Hilum of spleen
2. Greater omentum
3. Lesser omentum
4. None

Correct answer: 1. Hilum of spleen

Explanation: Accessory spleen may be found at :- i) Hilum of spleen (most common site). ii) Tail of pancrease. iii) Derivatives of dorsal mesogastrium :- Greater omentum, gastrophrenic ligament, gastrosplenic ligament, linorenal ligament. iv) Broad ligament of uterus (in males) and spermatic cord (in female); both left side.